Vector for scrub typhus -
1. Reduvid bug
2. Trombiculidmite
3. Enteric pathogens
4. Cyclops

Correct answer: 2. Trombiculidmite

Explanation: Ans. is 'b' i.e., Trombiculid mite VectorDiseases and organisms1) MiteScrub typhus (R. tsutsugamushi), Rickettsial pox (R. akari)2) LouseEpidemic typhus (R. prowaekii), Trench fever (R. quintana)3) FleaEndemic or murine typhus (R. typhi)4) TickIndian tick typhus (R. conorii), RMSF (R. Rickettsii)